Which one of these should not to be used in severe widespread psoriasis?
1. Methotrexate
2. Oral retinoids
3. Cyclosporin
4. Oral glucocorticoids

Correct answer: 4. Oral glucocorticoids